In case of unconscious patient spinal injury is assessed by
1. Absence of response to painful stimulus
2. Absence of deep reflexes
3. Abdominal respiration
4. All

Correct answer: 4. All

Explanation: A i.e. Absence of response to painful stimulus > B i.e. Absence of deep tendon reflexes > C i.e. Abdominal respiration